Foramen transversarium is found at:
1. Anterior cranial fossa
2. Middle cranial fossa
3. Posterior cranial fossa
4. Cervical vertebra

Correct answer: 4. Cervical vertebra

Explanation: Ans. D Cervical vertebraRef: Kulkarni Clinical Anatomy, 2nd ed. pg. 330* Foramen transversarium is found only in cervical vertebra and transmits the vertebral artery.* Another feature peculiar to cervical vertebra is bifid spinous process which is absent in C7 and has a small body.Extra edgeFlexion and extension of neckAtlanto-occipital jointRotational movement of neckAtlanto-axial joint